False statement about trigeminal nerve:
1. Carries sensation from face and scalp
2. Has motor branch
3. Arise from C8 nerve root
4. Composed of spinal nucleus

Correct answer: 3. Arise from C8 nerve root

Explanation: Ans: C (Arise from C8 nerve root) "The trigeminal nerve through its three branches is the chief sensory' nerve of the faceJr>- B.D.C 4th/ VoS HI 54"The trigeminal nerve emerges near the midpontine level. It has small motor root & large sensory root?'- Gray's 40th/284 SpinaI nucleus of trigeminal nerve extends from upper pons to C, segment of spinal cord"- B.D.C 4th/ Vol III 335Table (B.D.C 4th/ VoS III 57): Cutaneous Aerve of the FaceSource Cutaneous nerveArea of DisributiuonA. Ophthalmic division of trigeminal nerveQ1. Supratrochlear nerve2. Supraorbital nerveQ3. Lacrimal nerveQ4. Infratrochlear nerve5. External nasal nerveScalp up to vertex, forehead; upper eyelid; and root, dorsum and tip of noseB. Maxillary division of trigeminal nerveQ1. Infratrochlear nerveQ2. Zygomaticofacial' nerve3. Zygomaticotemporal nerveQUpper lip; side and ala of nose; most of the lower eyelid; upper part of cheek; and anterior part of templeC. Mandibular division of trigeminal nerveQ1. AuriculotemporalQ2. Buccal nerve3. Mental nerveLower lip; chin;lower part of cheek; lower jaw except over the angle; upper 2/3 of lateral surface of auricle; and side of headD. Cervical plexus1. Anterior division nerve auricular nerve (C2 C3)2. Upper division of transverse (anterior) cutaneous nerve of neck (C2 C3)Skin over the angle of the jaw and over the parotid gland. Lower margin of the lower jaw